Fetal weight can be assessed by :
1. Biparietal diameter
2. Crown rump length
3. Maternal weight gain
4. None of the above

Correct answer: 1. Biparietal diameter

Explanation: Biparietal diameter